Sites notorious for incised looking wound are all except:
1. Chest
2. Zygoma
3. Iliac crest
4. Shin

Correct answer: 1. Chest

Explanation: A i.e. Chest